Metabolic alkalosis seen in following except -
1. Methanol poisoning
2. Cushing's disease
3. Vomiting
4. Diuretic therapy

Correct answer: 1. Methanol poisoning

Explanation: Methanol is initially metabolized by alcohol dehydrogenase to formaldehyde, with subsequent oxidation to formic acid, then to CO2 & water. Formic acid is responsible for metabolic acidosis with increased anion gap & renal toxicity.